Which of the following are characteristic feature of cherubism?
1. Premature exfoliation of primary teeth
2. Hypoplastic defects
3. Progressive painless symmetric swelling of cheek bones
4. Both 1 and 3

Correct answer: 4. Both 1 and 3

Explanation: Cherubism is a disease of children and usually the affected children are normal at birth. The disease starts manifesting at the age of 14 months to 3 years as painless, bilateral symmetrical enlargement of maxilla, and mandible. The rate and extent of jaw enlargement differs considerably among patients and usually, the earlier the lesion appears, the more rapidly it progresses. 
Dental anomalies such as missing teeth, especially 2nd and 3rd molars, crowding, malocclusion, premature loss of deciduous teeth, and delayed eruption of permanent teeth may be noticed.
The disease is self-limiting and the enlargement slows down when the child reaches 5 years of age and stops completely at 12-15 years. At puberty, the lesions begin to regress spontaneously by continuous bone remodelling and at the end of third decade of life, the jaw bones are either clinically normal or with minimum residual deformity.
Reference: Shafer’s Textbook of ORAL PATHOLOGY Eighth Edition page no 468